MC site for thyroglossal cyst is:
1. Beneath the foramen caecum
2. Floor of mouth
3. Above hyoid
4. Subhyoid

Correct answer: 4. Subhyoid

Explanation: Ans. D i.e. Subhyoid